Meckel's diverticulum is a remnant of:
1. Stenson's duct
2. Wolffian duct
3. Mullerian duct
4. Vitellointestinal duct

Correct answer: 4. Vitellointestinal duct

Explanation: D i.e. Vitellointestinal duct- Persistence of small portion of vitelline duct or yolk stalkQ remnant is called meckel's diverticulum or ileal diverticulum.Reduction of physiological hernia occurs at 10 weeks of embryonic periodQ